Calorie requirement at 1 year of age is -
1. 800
2. 1000
3. 1200
4. 1500

Correct answer: 2. 1000

Explanation: - the calorie needed for children between 1 to 3 years is 1060 kcal/day. Reference : Park's textbook of preventive and social medicine, 23rd edition, pg no:634,table24.